In delirium tremens all are true, except :
1. Gross tremor
2. Seen in alcoholic withdrawal
3. Fits may occur
4. Orientation clear

Correct answer: 4. Orientation clear

Explanation: Delirium tremens is the most dramatic and grave of all the acute alcoholic illnesses. It is characterized by profound confusion, delusions, vivid hallucinations, tremor, agitation, and sleeplessness, as well as by the signs of increased autonomic nervous system activity--i.e., dilated pupils, fever, tachycardia, and profuse perspiration. Ref: Samuels M.A. (2009). Chapter 42. Alcohol and Alcoholism. In M.A. Samuels (Ed), Adams and Victor's Principles of Neurology, 9e.